The rod receptor potential differs from other surface receptors in that it shows ______?
1. Depolarization
2. Decreased negativity
3. Increased conductance of Sodium
4. Hyperpolarization

Correct answer: 4. Hyperpolarization

Explanation: The rod receptor potential differs from the outer surface receptors in that it shows Hyperpolarization. In most sensory receptors: Arrival of stimulus - Ion channels are opened up allowing current to flow - depolarisation of the receptor. In photoreceptors: When the light strikes the outer segment, a cascade of reactions are initiated, that close some of the Na+ channels in the outer segment and results in hyperpolarisation. Ref: Guyton and Hall 13th edition Pgno: 650-651